The antibacterial substance present in tears which acts by splitting cell wall components is
1. Penicillin
2. Lysozyme
3. Betalysine
4. Lactoperoxidase

Correct answer: 2. Lysozyme